Uterine blood flow at term is aEUR'
1. 50-70 ml/min
2. 100-150 ml/min
3. 175-200 ml/min
4. 500-750 ml/min

Correct answer: 4. 500-750 ml/min

Explanation: 500-750 ml "Uterine blood flow is increased from 50 ml/min in non pregnant states to about 750 ml near term". "Uterine blood increase from 50m/min in early gestation to 500-750 m/min by term".